All tests are used for infanticide except-
1. Ploucquet test
2. Fodere's test
3. Gettler's test
4. Raygat's test

Correct answer: 3. Gettler's test

Explanation: Ref:Forensic medicine and toxicology (V.V.Pillay) 17th edition, page no.324 The Gettler's test or Cholride test is done by with drawing 10 ml of blood from each ventricle of the heart and subjecting in to estimation of chlorides. Normal value of chloride is 600mg% in both chambers. In sea water drowning, thre is said to be 30-40% increacse of chloride level in blood in left ventricle, while in fresh water drownin, the chloride get reduced by 505. this change is of course not evident by dry drowning. Ploucquet's Test:The blood flow in the lung beds is so increased after breathing that their weight is almost doubled, from 1/70 of the body weight before respiration to 1/35 after respiration. The increase in weight is not constant and is not a reliable indication of breathing. Fodere's test: The lung are ligated across their hila and separated. THe average weight of the both lungs before respiration varies from 30g to 40g, and after respiration from 60g to 66g. The increase in weight is due to the increased flow of blood. Raygat's test/hydrostatic test:The hydrostatic test is based on the principle that if the infant has breathed, the lung will float in water. each lung is cut into pieces and tested for floataion in water. A piece of liver is used as control. if the liver bit floats, the test has no meaning, it is clear that putrefaction has set in. If all the pieces of lung float, they are crushed under a weight and tested again. flaotion is positive when the baby has respired. But if the piece sink after pressure, no respiration has taken place. if some piece float while otherb sink, it mean feeble respiration taken place.